Viper bite resembles poisoning by -
1. Semicarpus anacardium
2. Abrus precatorius
3. Ricinus communis
4. Capsicum annum

Correct answer: 2. Abrus precatorius

Explanation: Ans. is 'b' i.e., Abrus precatorius * Abrus precatorius seed is odourless, tasteless, oval (egg shaped), bright scarlet coloured with a black spot at one pole and contain abrin, a toxalbumin as its active principle, which is similar to viper snake venom.* Raw or cooked seeds, when swallowed are non-poisonous. But if extract is injected into wound or under skin, poisonous symptoms occur which resemble viper bite. This method is used to poison cattels by means of needle, known as sin needle.